Which of the following is a component of deltoid ligament
1. Talofibular ligament
2. Tibiotalar ligament
3. Talonavicular ligament
4. Calcaneo-navicular ligament

Correct answer: 2. Tibiotalar ligament

Explanation: Deltoid ligament has 4 components (all with prefix 'Tibia') : * Anterior tibiotalar ligament * Posterior tibiotalar ligament * Tibio-calcaneal part* Tibio-navicular ligament - attaching to navicular bone at medial side of the foot. - Spring ligament / calcaneo-navicular ligament which connects navicular bone's plantar surface with sustentaculum of calcaneus is not a component of deltoid ligament fig:-Deltoid ligament of ankle